Sago grain appearance is seen in ?
1. Healed myringitis bullosa
2. Otomycosis
3. Malignant otitis externa
4. Keratosis obturans

Correct answer: 1. Healed myringitis bullosa

Explanation: Ans. is 'a' i.e., Healed myringitis bullosa Otitis externa haemorrhagica This condition is also known as Bullous myringitis or myringitis bullosa. This condition is extremely painful and has sudden onset. It is thought to be due to mycoplasma pneumoniae or viral infection, usually influenza'. There may be a mild conductive deafness and a mildly discharging car. The appearance of haemorrhagic bullae on the tympanic membrane and in the deep meatus is characteristic. The bullae are filled with serosanguinous fluid and blood. On healing, bullae look like Sago-grain. Therefore "Sago-grain" appearance of tympanic membrane is seen in healed myringitis bullosa.